The most common cause of cerebrospinal otorrhoea is-
1. Rupture of tympanic membrance
2. Fracture of petrous ridge
3. Fracture of mastoid air cells
4. Fracture of parietal bone

Correct answer: 2. Fracture of petrous ridge